Storage period of 35 days for blood is seen with:
1. Citrate-phosphate-dextrose (CPD)
2. Citrate-phosphate-dextrose-alanine-1 (CPDA-1)
3. Acid-citrate-dextrose (ACD)
4. Citrate-phosphate-dextrose-dextrose (CP2D)

Correct answer: 2. Citrate-phosphate-dextrose-alanine-1 (CPDA-1)

Explanation: ANS. B# Storage period and preservatives* CPD--21 days* ACD--21 days* CPDA--35 days* SAGM--42 daysSAGM: Saline, adenine, glucose, mannitolFunction of SAGM: Increases shelf life of red blood cell (RBC)CPD:* Citrate--Ca2+ chelator* Phosphate--increased 2, 3, DPG and buffering* Dextrose--nutrition.